Nikoisky's sign is positive in
1. Pemphigus
2. Dermatitis herpatiformis
3. Pemphigoid
4. Rubella

Correct answer: 1. Pemphigus

Explanation: Nikolsky's sign : Development of an erosion on surrounding normal skin following shearing pressure .Though this sign is characteristic for pemphigus group of disorders is not specific and can be elicited in burns and other skin disorders. Page no. 281 Reference IADVL's concise textbook of dermatology